Which of the following is the most likely effect of insulin at the cellular receptor level?
1. stimulating tyrosine kinase
2. binding to ion channels
3. binding to intracellular erb A receptors
4. stimulating guanylate cyclase

Correct answer: 1. stimulating tyrosine kinase

Explanation: Insulin binding to its receptor stimulates tyrosine kinase activity. Other stimulators of protein kinases include platelet-derived growth factor and epidermal growth factor. Tyrosine phosphorylation results from this interaction. Insulin-resistant states can be caused by pre-receptor resistance (mutated insulin, anti-insulin antibodies) or receptor and post receptor resistance.